What happens to hepcidin levels in Anemia of chronic disease
1. Increases
2. Decreases
3. Remains normal
4. Any of the above

Correct answer: 1. Increases

Explanation: In anemia of chronic disease due to release of cytokines IL-6, TNF-α, IL - 1, (as a result of chronic inflammation) hepcidin synthesis increases in the liver.
Hepicidin inhibits iron release from macrophages.